Spanish windlass is practiced in Spain as a method of execution, it is a type of
1. Bansdola
2. Mugging
3. Garrotting
4. Hanging

Correct answer: 3. Garrotting

Explanation: In Spanish Windlass, an iron collar is tightened by a screw for strangulation. It is an example of garrotting where the victim's throat may be grasped or a ligature is thrown over the neck & quickly tightened by twisting it with a lever, which result in sudden loss of consciousness & collapse Reff: The synopsis of forensic medicine & Toxicology 28th edition pg : 187